All the following are biotin independent carboxylation reactions, EXCEPT
1. Addition of CO2 to from C6 in purine ring
2. Conversion of pyruvate to malate by malic enzyme
3. Acetyl CoA carboxylase
4. Carbamoyl phosphate synthetase

Correct answer: 3. Acetyl CoA carboxylase

Explanation: The  conversion of  pyruvate to  oxaloacetate by  biotin  dependent  pyruvate  carboxylase is essential for the synthesis of glucose from  many non-carbohydrate sources.